Discase imported to a country for first time
1. Exotic disease
2. Epidemic
3. Endemic
4. Hyper endemic

Correct answer: 1. Exotic disease